Inverse agonist of benzodiazepine receptor is:
1. Phenobarbitone
2. Flumazenil
3. Beta carboline
4. Gabapentin

Correct answer: 3. Beta carboline

Explanation: Flumazenil is competitive BZD - antagonist ,while dimethoxyethyl-carbomethoxy-b caboline (DMCM) which is a BZD inverse agonist inhibits GABA action & are rare convulsant. Ref: KD Tripathi 8th ed.